Free radicals can be inactivated by following enzymes excepts:
1. Glutathione peroxidase
2. Catalase
3. Superoxide dismutase
4. Myeloperoxidase

Correct answer: 4. Myeloperoxidase